Keratin in skin is softer than keratin in nail because keratin in skin has:
1. Less number of disulphide bonds
2. Less number of salt bridges
3. High sodium content
4. Different affinity for water

Correct answer: 1. Less number of disulphide bonds

Explanation: A i.e. Less number of disulphide bondsKeratin in skin is softer than keratin in nail, horn & hooves because skin keratin has less number of disulfide bondsQ between Cys residues of adjacent polypeptide chains.